Hormone involv ed in regulation of BP -
1. Serotonin
2. Angiotensin- II
3. Dopamine
4. Prostaglandin

Correct answer: 2. Angiotensin- II

Explanation: An s. is 'b' i.e., Angiotensin-II Compensatory mechanisms in acute hemorrhageo In acute hemorrhage there is compensatory sympathetic stimulation which causes1) Generalized vasoconstriction with increased total peripheral resistance (TFR).2) Increased heart rate (tachycardia).Increased cardiac contractility.Increased renin release causing sodium and water retention through RAA system.Shift of fluid from intracellular and interstitial space into vascular space.